The best parameter for assessment of chronic malnutrition is
1. Weight for age
2. Weight for height
3. Height for age
4. Mid arm circumference

Correct answer: 3. Height for age

Explanation: Height is a stable measurement of growth as opposed to body weight. Whereas weight reflects only the present health status of the child, height indicates the events in the past also. Low height for age: Also known as nutritional stunting or dwarfing. It reflects past or chronic malnutrition.Ref: Park; 23rd ed; Pg 544